All are germ cell tumours of ovary EXCEPT :
1. Brenner's tumour
2. Dysgerminoma
3. Polyembryoma
4. Endodermal sinus tumor

Correct answer: 1. Brenner's tumour

Explanation: Brenner's tumour